True about reverse transcriptasea) Forms DNA from RNAb) Forms RNA from DNAc) Important for replication of HIVd) Amplification of DNAe) DNA dependent RNA polymerase
1. a
2. bc
3. ad
4. ac

Correct answer: 4. ac